Ca urinary bladder commonly presents as -
1. Haematuria
2. Frequency
3. Dysuria
4. Abdominal lump

Correct answer: 1. Haematuria

Explanation: "Painless haematuria is by far the most common symptom and should be regarded as indicative of a bladder carcinoma untill proven otherwise."
Also Remember
MC primary tumor which gives secondary to penis → bladder carcinoma
Commonest tumor of Urinary bladder → transitional cell Ca
Commonest tumor of U.B. in a child → rhabdomyosarcoma
MC symptom of renal cell Ca → painless hematuria
MC symptom of wilm's tumor → mass in abd.
MC symptom of bony metastasis → pain
MC symptom of renal stone → pain
Earliest symptom of vesical calculus → Frequency
Cardinal symptom of renal trauma → Hematuria
MC symptom of acute arterial occlusion → pain